Which of the following antiepileptic drugs does not interfere with folic acid metabolism?
1. Phenytoin
2. Gabapentin
3. Phenobarbitone
4. Primidone

Correct answer: 2. Gabapentin

Explanation: Ans. is 'b' i.e., Gabapentin Antiepileptics interfering with folic acid metabolism. 1) Phenytoin 2) Phenobarbitone 3) Primidone